A baby assessed 5 minutes after birth is found to be blue with irregular gasping respiration. Heart rate ( HR) is 60 beats/min , and a grimace is seen with some flexion of extremities. The Apgar score for this newborn is​:
1. 0
2. 2
3. 3
4. 4

Correct answer: 4. 4

Explanation: In this baby,​

color, blue : score 0​
heart rate <60 beats/min: score 1​
Grimace: score 1​
Some flexion of extremities: score 1​
Irregular respiration: score 1​

Note: ​
A- Appearance​
P-Pulse​
G-Grimace​
A-Activity​
R-Respiration​
APGAR Scoring System